A pelvis characterized by an anteroposterior diameter of the inlet greater than the transverse diameter is classified as
1. Gynecoid
2. Android
3. Anthropoid
4. Platypelloid

Correct answer: 3. Anthropoid

Explanation: The anthropoid pelvis is marked by an oval inlet (but the anteroposterior diameter exceeds the transverse), the pelvic side walls diverge, and the sacrum is inclined posteriorly. Its associated with Persistent occipito posterior presentation and Face to pubis delivery The android (male-like) pelvis, where the inlet is wedge shaped, the pelvic sidewalls are convergent, the ischial spines are prominent, the subpubic arch is narrow, and the sacrum is inclined anteriorly in its lower one third. It is likely to be associated deep transverse arrest dystocia. Gynaecoid Android Anthropoid Platypelloid Shape of inlet Round Hea-shaped/triangular Long oval Flat Sacrosciatic notch Wide Narrow Wide Narrow Side walls Straight Convergent Straight Straight Ischial spine Not prominent Prominent Not prominent Not prominent Subpubic angle Wide Narrow Medium Wide